Cryptomenorrhea occurs due to :
1. Imperforate hymen
2. Asherman's syndrome
3. Mullerian agenesis
4. All

Correct answer: 1. Imperforate hymen

Explanation: Imperforate hymen